Tranylcypromine (MAO Inhibitor) should be avoided with_____as it causes dangerous drug interaction:
1. Morphine
2. Amitriptyline
3. Alprazolam
4. Any of the above

Correct answer: 2. Amitriptyline